Recommended interventions to reduce the incidence of Coronary artery disease include the following except-
1. Dietary cholesterol < 100/mg/1000kcal/day
2. Salt intake <5gm
3. No alcohol
4. Fat intake<10% of total energy

Correct answer: 4. Fat intake<10% of total energy

Explanation: The reduction of fat intake to 20 to 30 % of total energy intake. Ref- Park's textbook of Preventive and Social Medicine 24th edition.